Employer's contribution to Employees State Insurance
1. 3.25
2. 3.5
3. 3.75
4. 3.2

Correct answer: 1. 3.25

Explanation: Ref:According to ESI Act amendment 2019